Ewing's sarcoma peak incidence:
1. 1st decade
2. 2nd decade
3. 3rd decade
4. 4th decade

Correct answer: 2. 2nd decade

Explanation: The most common bone tumor of 1st decade is Ewing's sarcoma. The most common bone tumor of 2nd decade is osteosarcoma. Both osteosarcoma and Ewing's sarcoma peak in 2nd decade (10-20 years of age).